A 20-years old male presents with anterior shoulder dislocation. This injury is usually caused as a combination of which of the following?
1. Abduction & external rotation
2. Adduction & external rotation
3. Abduction & internal rotation
4. Adduction & internal rotation

Correct answer: 1. Abduction & external rotation

Explanation: Most common mechanism of injury for anterior dislocation is fall on outstretched hand or throwing with abduction, external rotation and extension at shoulder Refer Maheshwari 9th ed pg 89